Gland of Moll are modification of which gland
1. Sebaceous gland
2. Holocrine gland
3. Sweat glands
4. None

Correct answer: 3. Sweat glands

Explanation: Sweat glands